Which enzyme deficiency leads to pompe's disease
1. Branching enzyme
2. Glucose-6-phosphatase
3. Acid maltase
4. Liver phosphorylase

Correct answer: 3. Acid maltase

Explanation: Branching enzyme
Andersen's disease


Glucose-6-phosphatase
Von Gierke's disease


Acid maltase
Pompe's disease


Liver phosphorylase
Her's disease.